Which of the following is a multipennate muscle:
1. Rectus femoris
2. Deltoid
3. Flexor pollicis longus
4. Temporalis

Correct answer: 2. Deltoid

Explanation: Ans: B i.e. DeltoidMusclesRectus femoris is a bipennate muscleMultipennate muscle examples include subcapsularis, deltoid (acromial fibres)Flexor pollicis longus is an unipennate muscleTemporalis is a triangular muscle